Secretory immunoglobulin is
1. IgG
2. IgA
3. IgM
4. IgE

Correct answer: 2. IgA